The histologic criteria for diagnosis of acute appendicitis is neutrophilic infiltration of -
1. Mucosa
2. Submucosa
3. Muscularis propria
4. Serosa

Correct answer: 3. Muscularis propria